Ultrasound is done in 1st trimester for all except:
1. Multiple pregnancy
2. Fetal anomalies
3. To estimate gestational age
4. To know the position of the placenta

Correct answer: 4. To know the position of the placenta

Explanation: Ans. D: To know the position of the placenta Benefits of first trimester USG: Viability of the fetus Pregnancy dating Multiple pregnancy detection Detection of ectopic pregnancy Detection of H.Mole Detection of fetal anomalies Placental localization can be done with USG in second half of pregnancy.